What is statutory rape
1. Man has sexual intercourse with a girl less than 18 years
2. Man has sexual intercourse with consent with his wife who is less than 18 year old
3. Man forcibly has sexual intercourse with his own wife who is 16 years old
4. All of the above

Correct answer: 4. All of the above

Explanation: All the 3 options amount to statutory rape.